Outermost nuclei of the basal ganglia includes
1. Putamen
2. Globus pallidus
3. Substantia Niagra
4. Subthalmic nucleus

Correct answer: 1. Putamen

Explanation: Ans. is 'a' i.e., Putamen * Basal ganglia include following nuclei:- caudate nucleus, putamen, globus pallidus, subthalamic nucleus and substantia nigra.* Putamen is the outermost basal ganglia nucleus lying just lateral to globus pallidus